Disinfection of sputum is done by -a)  Boilingb)  Autoclavingc)  Sunlightd)  Burninge)  Airing
1. ae
2. edb
3. abd
4. bd

Correct answer: 3. abd